Pulmonary tuberculosis is more common in following associated diseases except -
1. Acquired Immune Deficiencies syndrome
2. Diabetes
3. Chronic renal failure
4. Mitral stenosis

Correct answer: 4. Mitral stenosis

Explanation: Risk factors for active tuberculosis among persons who have been infected with Tubercle bacilli include comorbidities like HIV infection(relative risk of 21-30),chronic renal failure(10-25),diabetes(2-4),silicosis(30),IV drug use(10-30),immunosuppressive treatment(10),gastrectomy(2-5),jejunoileal bypass(30-60),posttransplantation period(renal,cardiac:20-70). Ckd ,HIV/aids and diabetes are immune compromised conditions. Reference:Harrison's Medicine-18th edition,page no:1342.